A pregnant lady comes with itchy hand lesions. Her husband also gets it, whose examination finding is given below. The best treatment that can be given is -
1. Permethrin
2. Ivermectin
3. GBH
4. Benzyl benzoate

Correct answer: 1. Permethrin

Explanation: Ans. is 'a' i.e., Permethrin Image Shows- burrow, presenting as a curvilinear lesion, often difficult to discern in a dark skinned. Permethrin 5% cream is considered the drug of choice for treating scabies in patients, including pregnant women. o Other scabicides considered safe for use during pregnancy are sulfur 5-10% in petrolatum and crotamiton 10%. o Sulfur is effective and it has a good safety profile; however, sulfur preparations can stain clothing and they are odorous. o Crotamiton 10% cream is not absorbed percutaneously and is considered safe in pregnancy although it is not effective as other therapies.